Hasse’s formula used in pregnancy to?
1. Identify sex age
2. Identify fetal blood group
3. Estimate fetal age
4. Identify fetal congenital malformations

Correct answer: 3. Estimate fetal age

Explanation: Hasse’s formula If the crown-heel length is known then the intrauterine age of the fetus is calculated as:
If CH length is up to 25 cm then IU age = Square root of CH length If the CH length is > 25 cm then IU age = 1/5 of CH length